Which of the following is not an antineoplastic antibiotic ?
1. Actinomycin D
2. Doxorubicin
3. Bleomycin
4. Spiramycin

Correct answer: 4. Spiramycin